A 25 years old female with history of multiple contacts presents with growth on vulva, the probable diagnosis is -
1. Conyloma accuminata
2. Verruca plasma
3. Verruca vulgaris
4. Condyloma lata

Correct answer: 1. Conyloma accuminata

Explanation: Ans-A Condyloma accuminata (Ref Shows, 13/e, p 112 (12/e, p. 80-81)).The diagnosis of condyloma should be considered in a patients with history of sexual exposure and growths on vulva. The findings of the patient are consistence with that of condyloma accuminata.Condyloma accuminata -It is a sexually transmitted disease caused by human papilloma virus 6, 11, 16 & 18.Warts are seen on the vulval area. These verrucous growths may coalesce to form large cauliflower growths.Before concluding my answer, let me exclude other choices -Verrucous plana -It can be easily excluded, as in it warts are not found in genital areaHands and face are the most common site.Moreover the age group is also different, it is usually seen in children.Sometimes it can also occur in young women, but then face is the most common site involved.Verruca vulgaris -Here also the site of warts are different usually affected areas are exposed part of the body, hand, feet, nails, arms and legs, face and scalp.Condyloma lata -These are growth seen on genitals in secondary syphilis*.The presence of these lesions without any other features of syphilis is very unlikely.